Dowry death is covered under which section of IPC?
1. 304-A
2. 304-B
3. 176
4. 302

Correct answer: 2. 304-B

Explanation: ANSWER: (B) 304-BREF: Parikh 6th edition page 4.162, 8.2, 4.56Repeat from December 2010Repeat (***)304-B: Dowry death:Where the death of a woman is caused by any bums or bodily injury or occurs otherwise than under normal circumstances within seven years of her marriage and it is shown that soon before her death she was subjected to cruelty or harassment by her husband or any relative of her husband for, or in connection with, any demand for dowry, such death shall be called "dowry death" and such husband or relative shall be deemed to have caused her death.Whoever commits dowry death shall be punished with imprisonment for a term which shall not be less than seven years but which may extend to imprisonment for life.